True about IISV encephalitis is/are -
1. Caused by HSV-1
2. Haemorrhagic lesion seen
3. Eosinophilic inclusion bodies seen
4. All of the above

Correct answer: 4. All of the above